Following are the major symptoms of obsessive compulsive disorders ?
1. Contamination
2. Pathological doubts
3. Intrusive thoughts
4. All the above

Correct answer: 4. All the above

Explanation: Ans. is'd'i.e., AII the above[Rl Kaplan & Saddock's |tr/e p. 605)OCD has four major symptom patterns :-Contamination : -Contamination is the most common pattern of an obsession followed by washing (washer)Pathological doubts : -Doubts is the second most common pattern of an obsession, followed by a compulsive checking (checkers).Intrusive thoughts (Pure obsessions) : -In this third most common pattern, there are intrusive obsessional thoughts without a compulsion.Such obsessions are usually r4re titious thoughts of a sexual or aggressive act that is reprehensible to the patient.Symmetry: -This is the fourth most common pattern in which there is an obsession for symmetry or precision, which can lead to compulsion of slowness.Patients can literally take hours to shave their faces or to eat a meal.